Hemorrhagic pericarditis is seen in
1. Uremia
2. TB
3. Neoplasm
4. All

Correct answer: 4. All

Explanation: Causes of hemorrhagic pericarditis

1. Tuberculosis
2. Malignant involvement of pericardial sac
3. Bleeding diathesis
4. Cardiac surgery
5. Post-myocardial infarction
6. Dissecting aneurysm of aorta
7. Uremic pericarditis